Carrier state does not exist for ?
1. Hepatitis B virus
2. Hepatitis A virus
3. Non A Non B Hepatitis
4. Delta agent

Correct answer: 2. Hepatitis A virus

Explanation: Ans. is `b' i.e., Hepatitis A virus